Uterine-cervix ratio upto 10 years is:
1. 2:01
2. 1:02
3. 3:01
4. 3:02

Correct answer: 2. 1:02

Explanation: Explanation: Age Uterus:cervix ratio Before puberty 1:2 At puberty 2:1 Adults in reproductive age 3:1 to 4:1 After menopause Generalised atrophy Ref: ANATOMY Shaw 15th edition page: 8.